Normal urine output is:
1. 500-800 ml
2. 1500-1800 ml
3. 2200-2500 ml
4. 3000-3200 ml

Correct answer: 2. 1500-1800 ml

Explanation: Ans: b (1500-1800 ml) Ref: Ganong, 22nd ed, p. 713* 180 L of fluid is filtered through the glomeruli each day, while the average daily urine volume is about 1 liter.* At least 87% of filtered water is reabsorbed* Oliguria - 24 hr urine output of <500 ml.* Anuria - complete absence of urine formation.* Polyuria - 24 hr urine out put >3 liters.